All cause brain lesions except
1. Giardiasis
2. Tuberculosis
3. Cysticercosis
4. Bacteroides

Correct answer: 1. Giardiasis

Explanation: (A) Giardiasis # G. lamblia is seen typically within the crypts in duodenum> It does not invade tissues, but remains tightly attached by means of the sucking disc to the epithelial surface in the duodenum and jejunum.> The diarrhoea in some cases may be steatorrhoeic with excess mucus and fat, but no blood.> Children may develop chronic diarrhoea, malabsorption, weight loss and a sprue-like syndrome.> Occasionally giardia may colonise the gallbladder, causing biliary colic and jaundice.